Medium priority colour code in triage -
1. Red
2. Green
3. Blue
4. Yellow

Correct answer: 4. Yellow

Explanation: - triage consists of rapidly classifying the injured on the basis of severity of their injuries and the likelihood of their survival with prompt medical intervention. - yellow signals medium priority triage. Reference: Park's textbook of preventive and social medicine, 23rd edition, pg no: 796